Meckel's diverticulum is remnant of -
1. Vitello intestinal duct
2. Urachus
3. Oganic diaphragm
4. None

Correct answer: 1. Vitello intestinal duct

Explanation: Ans. is 'a' i.e., Vitello intestinal duct